Arterial blood gas analysis of a patient admitted to the medical emergency is as follows : pH = 7.2, HCO3 = 38 mmol/L, pCO2 = 56 mm Hg. This indicates :
1. Metabolic acidosis
2. Metabolic acidosis with respiratory compensation
3. Respiratory acidosis
4. Respiratory acidosis with renal compensation

Correct answer: 4. Respiratory acidosis with renal compensation